Renal calculus seen in proteus infection is
1. Uric acid
2. Xanthine
3. Triple phosphate
4. Calcium

Correct answer: 3. Triple phosphate

Explanation: Urease producing organisms eg :- proteus ,psuedomonas , and staphylococcus , break down urea to produce ammonia and co2.The urine becomes alkaline which promotes formation of struvite calculi ( magnesium ammonium phosphate ) which grow to become staghorn calculi.E coli never forms struvite stones ref :- Bailey and Love 27th edition .chapter 72 . pg no 1406